True statement about physis
1. Gives tensile strength to bone
2. Metabolically active part of the bone
3. Helps in bone resorption
4. Has lowest turnover activity in the bone

Correct answer: 2. Metabolically active part of the bone

Explanation: Physis / growth plate is metabolically active part and has highest turnover in the bone.
Tensile strength to bone is given by strands of collagen.
Osteoclasts help in bone resorption.